Which is enveloped virus -
1. Dengue virus
2. Norwalk virus
3. Hep A virus
4. Adenovirus

Correct answer: 1. Dengue virus

Explanation: Dengue virus (a member of flaviviridae) is an enveloped virus.
Adenovirus, norwalk virus (caliciviridae) and hepatitis A virus (Picornaviridae) are non-enveloped viruses.